A 30 yr old mail presents with complaints of dysphagia with regurgitation and foul breath. On examination, pallor is present along with bilateral lung crepitations. The most likely diagnosis is:
1. Schatzki ring
2. Zenker's diverticulum
3. Corkscrew esophagus
4. Plummer-Vinson syndrome

Correct answer: 2. Zenker's diverticulum

Explanation: Zenker's diverticulum is an outpouching of the cervical esophagus. Mucosa of the esophagus protrudes through an anatomically weak area between the cricopharyngeus inferiorly and the thyropharyngeus. Zenker diverticulum often causes clinical manifestations such as dysphagia, regurgitation, cough, halitosis. A simple barium swallow will normally reveal the diverticulum. Endoscopy should not be performed due to the risk of perforating the diverticulum. Surgery is indicated for large diverticula.